Cy Bromide green dye is used for:
1. HLPR
2. PCR
3. ELISA
4. Immunofluorescence

Correct answer: 2. PCR

Explanation: Ans. (b) PCR See below Cy Bromide green dye is a dye that binds to minor groove of double stranded DNA and generates fluorescence. Uses: To determine presence of amplified DNA product. For optimizing PCR reaction.